Incidentaly findings, in CT scan, a 3cm adrenal mass, which of the following is not done
1. Adrenalectomy
2. Dexamethasone suppression test
3. Measurement of catecholamines
4. 24-hour urinary cortisol excretion

Correct answer: 1. Adrenalectomy

Explanation: Ref: Bailey's 26thE pg 779 Hormonal evaluation in Incidentaloma includes: morning and midnight plasma cortisol measurements; a 1-mg overnight dexamethasone suppression test; 24-hour urinary cortisol excretion; 12 or 24-hour urinary excretion of metanephrines or plasmafree metanephrines; serum potassium, plasma aldosterone and plasma renin activity; serum DHEAS, testosterone or 17-hydroxyestradiol (virilising or feminising tumour).